Advantages of pin-retained amalgam restoration are:
1. Tooth preparation is more conservative
2. Restoration can be completed in one visit
3. Retention form is improved by the use of pins
4. All of the above

Correct answer: 4. All of the above